A premature baby, born at 33 weeks of gestation with a birth weight of 1500 Gms has stable vitals. Which of the following is the initial feeding method of choice?
1. Intravenous Fluids
2. Intravenous Fluids and oral feeding
3. Orogastric tube /Alternate oral route
4. Total parentral Nutrition

Correct answer: 3. Orogastric tube /Alternate oral route

Explanation: The baby mentioned in the question is a low birth weight preterm. Most low birth weight babies can be provided direct breast feeding or if sucking is inefficient expressed breast milk can be fed by orogastic tube or a spoon (katori/paladay) Ref: Essential pediatrics by O.P.Ghai 6th edn/page 158-60.